Which of the following is more likely associated with a platelet disorder rather than hemophilia A?
1. Hemarthroses
2. Epistaxis
3. Late rebleeding
4. Prolonged partial thromboplastin time

Correct answer: 2. Epistaxis

Explanation: Platelet disorders are more likely associated with epistaxis rather than a coagulation disorder such as hemophilia A. Other findings include symmetrical distribution of petechia and ecchymoses, bleeding of the mucosal membranes, bleeding from superficial scratches, a history of spontaneous bruising with no trauma, and gingival bleeding associated with brushing of the teeth. Platelet defects do not interfere with the prothrombin or partial thromboplastin times, which are tests that evaluate coagulation deficiencies.Pure coagulation deficiencies, such as hemophilia A, present with hematuria, gastrointestinal bleeds, large solitary ecchymoses, hemarthrosis (bleeding into joints), bleeding into potential spaces (e.g., retropharynx, muscle), continuous oozing after tooth extractions, and late rebleeding, since the vessels only have a temporary platelet plug that keeps them from bleeding.